Which statement regarding the anatomical spaces of the hand is true?
1. The thenar space lies lateral to the 3rd metacarpal.
2. The hypothenar space lies lateral to the 5th metacarpal.
3. The midpalmar space lies superficial to the palmar aponeurosis.
4. The pulp spaces lie on the dorsal aspect of the fingers and thumb.

Correct answer: 1. The thenar space lies lateral to the 3rd metacarpal.

Explanation: a. The thenar space lies lateral to the lateral septum of the palmar aponeurosis which is attached to the middle metacarpal bone. Explanationsb. The hypothenar space lies medial to the medial septum of the palmar aponeurosis which is attached to the 5th metacarpal bone. c. The midpalmar space lies deep to the palmar aponeurosis between its medial and lateral septa. d. The pulp spaces lie over the palmar surfaces of the tips of the fingers.